A 57-year-old man presents to the clinic for assessment of shortness of breath on exertion. The symptoms started many months ago after a "cold" and seem to be getting worse. There is no associated cough or sputum production, and he reports a 40-pack-per-year history of smoking. He otherwise feels well and his only past health history is hypertension that is well controlled on amlodipine. On physical examination, there are bilateral wheezes on expiration and increased resonance to percussion of the chest. Pulmonary function tests confirm the diagnosis of chronic obstructive lung disease (COPD). Which of the following is the best definition of this condition?
1. it is caused by bronchial asthma
2. it is preceded by chronic bronchitis
3. it is airflow limitation that is not fully reversible
4. it is due to destruction and dilatation of lung alveoli

Correct answer: 3. it is airflow limitation that is not fully reversible

Explanation: COPD is defined as a disease state that is characterized by airflow limitation that is not fully reversible. Emphysema and chronic bronchitis are closely related, and the term COPD is often used to encompass both. Chronic bronchitis is a clinical syndrome defined as excessive tracheobronchial mucous production severe enough to cause productive cough for at least 3 months of the year for at least 2 consecutive years. Emphysema is defined as the distention of air spaces distal to the terminale bronchiole, with destruction of alveolar septa. It is primarily a histologic diagnosis. Smoking is the usual antecedent for COPD.